FAST USG focuses on all of the following areas except-
1. Splenic
2. Hepatic
3. Pleura
4. Pelvic

Correct answer: 3. Pleura

Explanation: Ans. is 'c' i.e., Pleura FAST stands for Focused Abdominal Sonar for Traymao technique whereby USG is used to assess the presence of blood, either in the abdominal cavity or in the pericardium.o It is a non- invasive bed - side test,o It focuses only on four areas:PericardiumSpleenHepaticPelvic